Arsenic causes all, except:
1. Raindrop pigmentation
2. Alopecia
3. Palmar hyperkeratosis
4. Blue line in gums

Correct answer: 4. Blue line in gums

Explanation: Ans. Blue line in gums